Drug of choice in absence seizure-
1. Carbamazepine
2. Phenytoin
3. ACTH
4. Ethosuximide

Correct answer: 4. Ethosuximide

Explanation: Ans. is 'd' i.e., Ethosuximide